Dew-drop on rose petal rash is seen in -
1. Measles
2. Smallpox
3. Chicken pox
4. Rubelle

Correct answer: 3. Chicken pox

Explanation: Ans. is 'c' i.e., Chiken pox o Appearance of chickenpox rash has dew-drop on rose petal appearonce.Chicken pox rash has been explained in previous sessions.